Which of the following is the most beta-1 selective antagonist?
1. Acebutolol
2. Atenolol
3. Metoprolol
4. Bisoprolol

Correct answer: 4. Bisoprolol

Explanation: Ans: D (Bisoprolol) Ref: Goodman & Gill man's The Pharmacological Basis of Therapeutics. 2011, 12th Edition, McGraw-Hill, Burton LL P 328Explanation:Bisoprolol is highly selective beta-1 selective antagonist among the given drugsHowever nehivolol has higher beta-1 selective antagonist than bisoprololBeta-1 selective antagonist includeAcebutololAtenololBetaxololBisoprololCeliprololEsmololMetoprololNebivolol